A 45 year old male patient complains of food lodgment and pain in lower right back teeth region. RCT was done with 46. Cast metal restoration was planned for 46. Defective carbon inclusions were seen on the casting. All of the following factors are responsible for this defect except:
1. Carbon-containing wax
2. Carbon from crucible
3. An improperly adjusted torch
4. Carbon-containing investment

Correct answer: 1. Carbon-containing wax

Explanation: CARBON INCLUSIONS
Carbon from a crucible, an improperly adjusted torch, or a carbon-containing investment, can be absorbed by the alloy during casting. These particles may lead to the formation of carbides or even create visible carbon inclusions.
Phillips’ Dental Material, pg- 225